Which of the following drug can cause Delayed Bone Marrow Suppression leading to Sustained Neutropenia?
1. Vincristine
2. Carboplatin
3. Melphalan
4. Carmustine

Correct answer: 4. Carmustine

Explanation: NITROSOUREAS : MOA: Alkylating agent DRUGS: CARMUSTINE, LOMUSTINE, SEMUSTINE. USES: Can cross BBB thereby used in Brain tumors. S/E: Delayed Bone Marrow Suppression resulting in Sustained Neutropenia.